A 26 yr old asymptomatic woman is found to have arrthymias and a systolic murmur associated with midsystolic clicks; which investigation would you use:
1. Electrophysiological testing
2. Tc scan
3. Echocardiography
4. Angiography

Correct answer: 3. Echocardiography

Explanation: Answer is C (Echocardiography) The history suggests the diagnosis of 'Mitral valve prolapse'(MVP). Investigation of choice for MVP is Echocardiography.